In which of the following conditions is cardiac involvement NOT a usual feature ?
1. Facio-scapulo-humeral dystrophy
2. Duchenne's muscular dystrophy
3. Friedreich's ataxia
4. Myotonic dystrophy

Correct answer: 1. Facio-scapulo-humeral dystrophy